Most common site of histiocytosis is -
1. Bone
2. Skin
3. Lung
4. Liver

Correct answer: 1. Bone

Explanation: Langerhan's cell histiocytosis are malignant proliferation of dendritic cells or macrophages. These proliferating cells are actually Langerhan's cells of marrow origin.Reference :Harsh Mohan textbook of pathology 6th edition pg no 385.